Radiographically the level of the normal inter proximal alveolar crest is related to the
1. Position of cemento - enamel junctions of the approximal teeth
2. Epithelial attachment
3. Anatomy of the alveolar process
4. Location of the Gingival attachment

Correct answer: 1. Position of cemento - enamel junctions of the approximal teeth